A patient who has been diagnosed with bronchiectasis 5-years-ago presents with edema of legs and proteinuria. The most likely finding in his kidney will be -
1. Minimal Change Disease
2. Amyloid Nephrophaty
3. Rapidly Progressive Glomerulonephritis (RPGN)
4. Crescenteric Glomerulonephritis

Correct answer: 2. Amyloid Nephrophaty